Glue ear is
1. Painful
2. Painless
3. Naf is useful
4. Radical mastoidectomy is required

Correct answer: 2. Painless

Explanation: Otitis media with effusion/ Serous OM/Glue ear/Secretory OM is a painless condition following accumulation of non-inflammatory exudate in the middle ear. Commonly seen in children.OME is the commonest cause of conductive deafness in children, and due to adenoid hypertrophyIn adults, Nasopharyngeal carcinoma is to be ruled out.Treatment of choice- Myringotomy with grommet insertion.Ref: Hazarika; 3rd ed; Pg 146